A 25 year old pregnant female with gestational diabetes came to OPD at 30 weeks of gestation for routine antenatal checkup. Her sugars are uncontrolled. Her fundal height was found to be 36 cm and abdominal skin appears excessively stretched and shiny. Her previous antenatal USG reports were normal. What could be the most probable diagnosis?
1. Uterine fibroids
2. Polyhydramnios
3. Twin gestation
4. Oligohydramnios

Correct answer: 2. Polyhydramnios

Explanation: Fundal height normally correlates (in cms) with gestational age in weeks (from 16 to 36 weeks). The possible reason for increased fundal height could be : Polyhyramnios, Fibroids, Twin pregnancy, H. Mole, Big baby (Fetal macrosomia) Normal previous USGs rules out fibroid, twin pregnancy and H. Mole. According the above given case scenario the most probable cause is polyhydramnios (as the patient is a known case of gestational diabetes which is a risk factor for polyhydramnios).